Most abundant extracellular buffer is
1. Haemoglobin
2. Plasma proteins
3. Bicarbonate
4. Phosphate

Correct answer: 3. Bicarbonate

Explanation: Bicarbonate buffer is rhe major buffer system in the body It is responsible for about 80%of extra cellular buffering Ref:Guyton and Hall textbook of medical physiology 12th edition,page number:489,490,491